Which of the following is false about mycetoma?
1. Can affect lower and upper extremities
2. Caused by actinomycetes and filamentous fungi
3. Diagnosis is by examination of pus
4. Uncommon in India

Correct answer: 4. Uncommon in India

Explanation: Ans. is 'd' i.e., Uncommon in India (Ref: Ananthanarayan, 8th/e, p. 60g)Mycetoma was originally reported from 'Madura', South India, and is, therefore, commonly known as Madura mycosis or Madura foot. It is quite common in Tamil Nadu in India.